Which flexor tendon zone in hand is known as No man's land?
1. Zone I
2. Zone II
3. Zone III
4. Zone IV

Correct answer: 2. Zone II

Explanation: Ans. (b) Zone IIZone II extends from the middle of the middle phalanx to distal palmar crease. It contains both flexor tendon superficialis and flexor tendon profundus.It has been called No Man's Land.' or "No Man's Zone because repair in this zone is very difficult.